True about nitric oxide:
1. Free radical
2. Vasodilator
3. Oxidizing agent
4. All

Correct answer: 4. All

Explanation: A i.e. Free radical; B i.e. Vasodilator; C i.e. Oxidizing agent